Somatostatin is secreted by :
1. D-cell
2. A-cell
3. B-cell
4. Dl-cell

Correct answer: 1. D-cell

Explanation: Ans. is A D-cell (Ref Ganong, 20/e, p. 339). Delta cells secrete - somatostatin* Beta cells secrete - insulin* Alpha cells of pancreas - glucagon*